A patient seen a rope and fears like a snake. It is called:
1. Husion
2. Hallucination
3. Delusion
4. Depresonalization

Correct answer: 1. Husion

Explanation: A i.e. Illusion